How many polypepide chains does insulin compose of ?
1. 4 chains
2. 3 chains
3. 2 chains
4. 5 chains

Correct answer: 3. 2 chains

Explanation: Insulin is two-chain polypeptide hormone, with 51 amino acids. Structure: 2 chains - A & B chain. A - chain - 21 amino acids; B - chain - 30 amino acids. Half-life-: About 5 mins